Which of the following is seen in PNH:
1. Hemolysis
2. Pancytopenia
3. Thrombosis
4. All of the above

Correct answer: 4. All of the above